False statement regarding umbilical cord Banking is
1. Blood is collected from umbilical artery
2. It is used for allogenic stem cell transplant
3. Trasplantation can be done in people with different HLA matching
4. Blood is preserved by Crypreseration

Correct answer: 1. Blood is collected from umbilical artery

Explanation: Umbilical Cord banking:

Blood is collected from umbilical vein
Blood is preserved by Cryopreservation
Transplantation can be done in people with different HLA matching.
It can be used for autogenic and allogenic stem cell transplant.